Causes of antigenic drift in influenza viral infections?
1. Small mutation in neuraminidase and hemagglutinin
2. Large mutations in hemagglutinin only
3. Step mutations in viral genome
4. None of the above

Correct answer: 1. Small mutation in neuraminidase and hemagglutinin

Explanation: Ans. is 'a' i.e., Small mutation in neuraminidase and hemagglutinin